Which of the following hormones is responsible for inhibiting lactation during pregnancy?
1. Progesterone
2. Human placental lactogen
3. Oxytocin
4. Prolactin

Correct answer: 1. Progesterone

Explanation: Lactation is d/t Prolactin so it cannot inhibit lactation Progestrone: Maintain pregnancy & during pregnancy inhibits Lactation. Post delivery its effect is gone so doesn't inhibit Lactation. Oxytocin: has no role in lactation, its function is milk production.